Insertion of pectoralis major is at:
1. Lateral lip of bicipital groove of humerus
2. Medial lip of bicipital groove of humerus
3. In the bicipital groove of humerus
4. Clavicle

Correct answer: 1. Lateral lip of bicipital groove of humerus

Explanation: Pectoralis major arises from the anterior surface of the sternal half of the clavicle; from breadth of the half of the anterior surface of the sternum, as low down as the attachment of the cartilage of the sixth or seventh rib; from the cartilages of all the true ribs, with the exception, frequently, of the first or seventh and from the aponeurosis of the abdominal external oblique muscle. From this extensive origin the fibers converge in a flat tendon, about 5 cm in breadth, which is inserted into the lateral lip of the bicipital groove of the humerus.